Select the best statement regarding the respiratory centers:
1. The normal rhythmic pattern of breathing originates from neurons in the motor area of the cortex
2. During quiet breathing, expiratory neurons fire actively
3. Impulses from the pneumotaxic center can stimulate inspiratory activity
4. The cortex of the brain can override the function of the respiratory centers

Correct answer: 4. The cortex of the brain can override the function of the respiratory centers

Explanation: The cortex can override the function of the respiratory centers, during voluntary hyperventilation, or voluntary breath holding. The other choices are incorrect: The normal rhythmic pattern of breathing originates in the brain stem, not the cortex. Expiration is passive during quiet breathing, impulses from the pneumotaxic center inhibit inspiration, and the output from the respiratory centers includes impulses from the spinal cord to the intercostal and other muscles in addition to the phrenic nerves.